Commonest site of peptic ulcer is :
1. 1st part of Duodenum
2. IInd part of duodenum
3. Distal 1/3 of stomach
4. Pylorus of the stomach

Correct answer: 1. 1st part of Duodenum

Explanation: Answer is A (1st part of Duodenum) First part of duodenum is the most common site for peptic ulceration. Sites in order of decreasing frequency : Duodenum, 1st portionQ Stomach, usually antrum Q At the gastro-esophageal junction, in the setting of gastroesophageal reflux Q Within the margins of a gastrojejunostomy Q In the duodenum, stomoch or jejunum of patients with Zollinger- Ellison Syndrome Q Within or adjacent to a Meckels diverticulum that contains ectopic gastric mucosa Q Peptic ulcers are usually solitary lesions less than 4 cm in diameter